Fibular collateral ligament is the continuation of:
1. Peroneus longus
2. Biceps femoris
3. Semimembranosus
4. Adductor magnus

Correct answer: 1. Peroneus longus

Explanation: Fibular collateral ligamentis a degenerated part of Peroneus Longus muscle.
Oblique popliteal ligamentis a continuation of semimembranosus muscle. It lies in the floor of popliteal fossa.
The tibial collateral ligament represents the degenerated part of adductor magnus.
The sacrotuberous ligament represents the degenerated part of the long head of biceps femoris.
Sacrospinous ligamentrepresents the degenerated part of Coccygeus muscle.